Shortest acting local anesthetic agent is -
1. Procaine
2. Lidocaine
3. Tetracaine
4. Bupivacaine

Correct answer: 1. Procaine

Explanation: Ans. is 'a' i.e., Procaine o Chlorprocaine is the shortest acting LA. Amongst the given options procaine is shortest acting.Local Anesthetic agentsShort duration(< 30 min) Low potencyIntermediate duration (30-90 min) Intermediate potencyLong duration (> 120 min) High potencyChlorprocaine (shortest acting)LignocaineMepivacaineBupivacaineTetracaineProcainePrilocaineCocaineEtodicaineRopivacaineDibucaine (longest acting)